A patient presenting with Volkmann's Ischaemia all of the following are done except
1. Split open the plaster of Paris cst and bandage
2. Decompression by fasciotomy
3. Exploration
4. Sympathetic ganglion blockade

Correct answer: 4. Sympathetic ganglion blockade

Explanation: D i.e. Sympathetic ganglion Blockade